Neuropraxiais-
1. Damage to axon
2. Damage to endoneurium
3. Damage to epineurium
4. No Structural damage

Correct answer: 4. No Structural damage

Explanation: Ans. is 'd' i.e., No Structural damage Neuropraxiao No anatomic disruption : Axon & myelin sheath remain intactAxontemesiso Disruption of axon with myelin sheath. Endoneurium is intactNeurotemesiso Complete section of nerve - Axon, myelin sheath, endoneuriun, perineurium, epineurium all are disrupted